On which of following does prognosis in male breast Ca depend -
1. Duration of disease
2. Nipple discharge
3. Ulceration of nipple
4. Lymph node status

Correct answer: 4. Lymph node status